Phospholipid that plays an important role in apoptosis is?
1. Phosphatidylcholine
2. Phosphatidylserine
3. Phosphatidylethanolamine
4. Phosphatidylglycerol

Correct answer: 2. Phosphatidylserine

Explanation: PHOSPHOLIPIDS ROLE Phosphatidylserine Apoptosis Dipalmitoyl phosphatidylcholine Lung surfactant Cardiolipin Mitochondrial function Biological false positive VDRL Phosphatidyl inositol Reservoir of prostaglandin synthesis signal transmission across membranes Reference: Harpers illustrated biochemistry 30th edition page 215